All are true except aEUR'
1. LKM 1 - Autoimmune hepatitis
2. LKM 2 - Drug induced
3. LKM 1 - Chronic hepatitis C
4. LKM 2 - Chronic hepatitis D

Correct answer: 4. LKM 2 - Chronic hepatitis D

Explanation: LKM2 - chronic hepatitis D LKM stands for liver kidney microsomal antibodies. Type of LKM antibody Conditions associated Anti LKM, antibodies_____ ___________ -4 Chronic hepatitis C, Autoimmune hepatitis type 2 Anti LKM2 antibodies --> Drug induced hepatitis Anti LKM3antibodies --> Chronic hepatitics D, Infrequently positive in type 2 autoimmune hepatits